After taking some drug for acute attack of migrane,a patient developed nausea and vomiting..He also developed tingling and numbness in the tip of the finger that also turned blue.Which of the following is the most likely drug implicated in causing the above findings?
1. Dihdroergotamine
2. Sumatriptan
3. Aspirin
4. Butorphanol

Correct answer: 1. Dihdroergotamine

Explanation: Ergotamine is an alkaloid Ergotamine acts as a partial agonist and antagonist at alpha-adrenergic and all subtypes of 5-HT1 and 5-HT2 receptors but does not interact with 5-HT3 or dopamine receptors. Dihydroergotamine (DHE): Hydrogenation of ergotamine reduces serotonergic and alpha -adrenergic agonistic actions, but enhances alpha-receptor blocking property. adverse effects: prolonged vasoconstriction causes gangrene nausea, vomiting, diarrhea Ergometrine - used for Postpartum hemorrhage REF; ESSENTIALS OF MEDICAL PHARMACOLOGY: KD TRIPATHI;8TH EDITION